Treatment of benign tumor of parotid is-
1. Enucleation
2. Superficial parotidectomy
3. Radiofrequency ablation
4. Radical parotidectomy

Correct answer: 2. Superficial parotidectomy

Explanation: Ans. is 'b' i.e., Superficial parotidectomy "Treatment of benign neoplasms is surgical excision of the affected gland or, in the case of the parotid, excision of the superficial lobe with facial nerve dissection and preservation. The minimal surgical procedure for neoplasms of the parotid is superficial parotidectomy with preservation of the facial nerve. 'Shelling out ' of the tumor mass is not recommended because of the risk of incomplete excision and tumor spillage". ___Schwartz